Commonest complication of Colles' fracture is:
1. Nonunion
2. Malunion
3. Vascular injury
4. Sudeck's osteodystrophy

Correct answer: 2. Malunion

Explanation: B i.e. Malunion